Joint involved in movement of head from left to right.
1. Atlanto axial
2. Atlanto occipital
3. C2- C3 Joint
4. C3- C4 Joint

Correct answer: 1. Atlanto axial

Explanation: Answer A. Atlanto axialAtlanto-occipital (between skull and C1) joint permit nodding of head ( as when indicating approval or YES) and Atlanto-axial joint permits the head to be turned from side to side (as indicating disapproval or NO).